Fourth generation of apex locator are based on which principle
1. Resistance based
2. Impedance based
3. Impedance ratio based
4. Multiple frequencies based

Correct answer: 4. Multiple frequencies based

Explanation: First generation …resistance based
Second…impedence
Third…impedence ratio
Fourth ..multifrequency